Septicemia is -
1. Bacteria in blood
2. Toxin in blood
3. Pus in blood
4. Multiplication of bacteria and toxins in blood

Correct answer: 4. Multiplication of bacteria and toxins in blood